A 28 yrs old lady, Rani, is suspected to have poly-cystic ovarian disease. Sample for testing LH & FSH are best taken on the following days of menstrual cycle :
1. 4-Jan
2. 10-Aug
3. 13 - 15
4. 24 - 26

Correct answer: 1. 4-Jan

Explanation: Ans. is a i.e. 1 - 4 days In PCOS : "Determination of the follicle stimulating hormone (FSH) and luteinizing hormone (LH) levels may help to confirm the diagnosis of polycystic ovaries. These are assayed on the second or third day of the cycle" So, there is no doubt about 1 - 4 being the option of choice.